A peptic ulcer is associated with all except one -
1. Cirrhosis
2. Zollinger Ellisons syndrome
3. Primary hyperparathyroidism
4. Pernicious anemia

Correct answer: 4. Pernicious anemia

Explanation: You, don’t expect pernicious anemia to cause peptic ulcer. In pernicious anemia, there is autoimmune destruction of the parietal cells leading to hypochlorhydria which further progresses to achlorhydria
Etiology. of peptic ulcer


Acute Peptic Ulcer




NSAIDS Ingestion


Stress


Cushing ulcer after cerebral trauma
Curling ulcer* after burn injury, any kind of shock


Sepsis  — Undrained pus may be responsible for an acute ulcer.


Steroids 




Chronic Gastric Ulcer




NSAIDs Ingestion


NSAIDs disrupt the prostaglandin driven support of the mucosal barrier.
Prostaglandins are responsible for the prodn. of mucosal gel layer in the stomach, which provide a protective barrier to the gastric and duodenal lining.
So disruption of this mucosal barrier allows even minimum amount of acid to cause ulceration.


Helicobacter pylori


H.Pylori is seen in almost 90% of cases of duodenal ulcer and 70% of cases of gastric ulcer.


Pyloroduodenal reflux


Regurgitate bile & other duodenal juices.


Mucosal trauma


by mechanical effect of food.


Diet & smoking


Irregular diet, spicy food excessive drinking of tea & coffee, alcohol, Cigarette smoking has a definite relation with both gastric & duodenal ulcers.


Emotional factors


Anxiety, Stress & strain.


Liver disease


Ulceration of both stomach and duodenum have co-existed with the disease of the liver, particularly cirrhosis.
It may be due to increase in blood supply to the gastric mucosa and overproduction of histamine in the stomach wall to stimulate the parietal cell.


Chronic Duodenal Ulcer




Acid hypersecretion


Genetic factors


Persons of blood group 'O' who do not possess AB antigen are peculiarly apt to develop a duodenal ulcer.
iii.Endocrinal disorders

Zollinger Ellison syndrome
Hyperparathyroidism
Multiple adenoma syndromes (MEN-I)
Cushing. syndrome (b/c of the high level of endogenous steroids)



Chronic liver diseases


Chronic lung disease


Chronic pancreatitis


Emotional factor


Diet & smoking


H.pylori


The decrease in bicarbonate production




The list may be exhaustive but questions have been repeatedly asked on etiology of peptic ulcers.